Side effect of oral carbonic anhydrase inhibitors include ?
1. Weight gain
2. Insomnia
3. Hyperkalemia
4. Paresthesia

Correct answer: 4. Paresthesia

Explanation: Ans: D. Paresthesia[Ref KDT Vh/e p. 5g7; Clinical pharmacology 8th/e p. 71g)Adverse effects of systemic/oral carbonic anhydrase inhibitors are:CNS effects: Lethargy, drowsiness, headache, seizures, and ParesthesiasGI effects: Nausea, vomiting, diarrhea, altered taste, and anorexiaDiuretic effect : Polyuria and increased thirst; fluid and electrolyte disturbances (hypokalemia, metabolic acidosis)Worsening of liver disease : Precipitation of hepatic encephalopathy / hepatic coma and hepatic necrosisHypersensitivity reaction: In patients sensitive to sulfonamide (CAase inhibitors are sulfonamide derivatives)Hyperuricemia: Precipitation of goutBone marrow depression: Rare